Clinical feature of fracture of Zygomatic bone include all of the following except -
1. Diplopia
2. Trismus
3. Bleeding
4. C.S.F. rhinorrhea

Correct answer: 4. C.S.F. rhinorrhea

Explanation: • MC fracture of the middle third of the face: Nose > zygomatic bone
• Also known as Tripod fracture, because the zygoma is fractured at its 3 processes:
1. Zygomatico-frontal fracture 2. Zygomatico-temporal fracture 3. Infraorbital fracture
Clinical Features of Zygomatic Bone Fracture